Drugs indicated in MRS A infection are all EXCEPT:
1. Vancomycin
2. Teicoplanin
3. Linezolid
4. Imipenem

Correct answer: 4. Imipenem

Explanation: Ans. (d) ImipenemRef: Harrisons 19th ed.* Microbes which are resistant to methicillin are said to be MRSA.* Methicillin is highly penicilinase resistant but not acid resistant.* MRSA have emerged in many areas. These are insensitive to all penicillinase-resistant penicillins and to other b -lactams as well as to erythromycin, aminoglycosides, tetracylines, etc.* The drug of choice for these organisms is vanocomycin/ linezolid, but ciprofloxacin and Rifampicin can also be used.* IMIPENEM is an extremely potent and broad-spectrum b-lactam antibiotic whose range of activity includes grampositive cocci, Enterobacteriaceae, Ps. Aeruginosa, Listeria as well as anaerobes like Bad. Fragilis and Cl. Difficile.* It is resistant to most b-lactamases; inhibits penicilinase producing staphylococci and some MRSA